Cervical vertebra is differentiated from the thoracic vertebra by the presence of:
1. Large vertebral body
2. Upward facing superior facets
3. Triangular foramin
4. Foramen transversarium

Correct answer: 4. Foramen transversarium

Explanation: D i.e. Foramen transversurism